The advantages of cryosurgery over electrocau-terization are all except:
1. Less discomfort to the patient
2. Postoperative bleeding is much less
3. Postoperative vaginal discharge is also much less
4. Cervical stenosis is extremely rare

Correct answer: 3. Postoperative vaginal discharge is also much less

Explanation: After cryosurgery there will be profuse vaginal discharge for about 2–3 weeks